Which muscle is irritated by retrocecal appendicitis?
1. Psoas
2. Obturator
3. Gluteus maximus
4. Quadratus

Correct answer: 1. Psoas

Explanation: Ans. (a) PsoasRef: Bailey and Love 27th edition, Page 1303On hyperextension of hip by putting psoas muscle into action -- retrocecal appendicitis pain is exhibited.